True about attachments at ischeal tuberosity ?
1. Origin of semitendinosus from superolateral area
2. Origin of semimernbranosus from superolateral area
3. Origin of long head of biceps from superolateral area
4. Origin of adductor magnus from superolateral area

Correct answer: 2. Origin of semimernbranosus from superolateral area

Explanation: Attachments of ischeal tuberosity -i) Superolateral Orgin of semimembranosus.ii) Inferomedial :- Origin of semitendinosus and long head of biceps.iii) Outer lower area :- Origin of adductor magnus . Medial margin gives attachment to sacrotuberous ligament. Lateral border gives attachment to ischeofemoral ligament.